Rokitansky kuster hauser syndrome is associated with -
1. Ovarian agenesis
2. Absent fallopian tube
3. Vaginal atresia
4. Bicornuate uterus

Correct answer: 3. Vaginal atresia

Explanation: Congenital hypoplasia or absence of vagina in combination with an abnormal absent uterus is called Rokitansky lustre Hauser syndrome.
It is the second most common cause of primary amenorrhoea, next to turner syndrome (gonadal days.)